Sistrunk operation is done for
1. Throglossal fistula
2. Branchial cyst
3. Parotid tumor
4. Lateral abarrent thyroid

Correct answer: 1. Throglossal fistula

Explanation: Treatment must include excision of the whole thyroglossal tract, which involves removal of the body of the hyoid bone and the suprahyoid tract through the tongue base to the vallecula at the site of the primitive foramen caecum, together with a core of tissue on either side. This operation is known as Sistrunk's operation and prevents recurrence, most notably from small side branches of the thyroglossal tract Bailey & Love ,5th,730.